Hypolipidemic agents act on:
1. HMG CoA synthetase
2. HMG CoA oxygenase
3. HMG CoA reductase
4. HMG CoA hydratase

Correct answer: 3. HMG CoA reductase

Explanation: C i.e. HMG COA reductase